Na+ &/or IC+ is/are involved in mechanism of action of which of the following receptor (s):
1. 5-HT3 receptor
2. Nm receptor
3. Nn receptor
4. All

Correct answer: 4. All

Explanation: A,B,C All